Simplex type of Epidermolysis Bullosa involves mutations in
1. Keratin 5
2. Lamina lucida
3. Type vII collagen
4. Dystrophin

Correct answer: 1. Keratin 5

Explanation: Simplex type of Epidermolysis Bullosa involves mutations in in keratin 5 or 14.